A newborn doubles his height at birth by what age?
1. 2 & half years
2. 3 & half years
3. 4 & half years
4. 5 & half years

Correct answer: 3. 4 & half years

Explanation: Height at birth is 50cms At 6 months- 65 cms At 1yr- 75cms At 2yrs- 90cms At 3yrs- 95cms At 4yrs- 100cms Hithero, height at birth doubles by the age of 4 yrs. Ref: Ghai, 9th edition, Chapter 2.